Horse shoe kidney lies below the level of:
1. Coeliac trunk
2. Superior mesenteric artery
3. Inferior mesenteric artery
4. Median sacral artery

Correct answer: 3. Inferior mesenteric artery

Explanation: Inferior mesenteric artery